Normal AV delay of 0.1 seconds is due to:
1. Decrease in amplitude of firing
2. Resistance offered by myocytes
3. Decrease in number of gap junctions
4. Lack of tight junctions

Correct answer: 3. Decrease in number of gap junctions

Explanation: AV node conduction velocity is lowest because of: Less number of gap junctions, small diameter fibers and slow type AP.